A child with 15days cough examination shows cervical lymphadenopathy Lymphnode biopsy shows langerhans giant cells
1. leprosy
2. ubosculosis
3. Sarcoidosis
4. syphilis

Correct answer: 2. ubosculosis

Explanation: ref : robbins 10th ed